True about BCR- ABL 'traits' are all except:
1. P190 has an indolent course
2. P190 is a bad prognostic factor
3. P230 is positive in chronic neutrophilc leukemia
4. P230 has an indolent course

Correct answer: 1. P190 has an indolent course

Explanation: Ans: (a) P190 has an indolent courseRobbins Pathology, 9th editionChronic myeloid leukemia (CML) is characterized by the Philadelphia (Ph) chromosome, which results from the t(9;22)(q34;q11) balanced reciprocal translocation.Three breakpoint cluster regions have been characterized to date: major (M-BCR), minor (m-BCR) and micro (mu-BCR).The smallest of the fusion proteins, p190BCR-ABL (m-BCR breakpoint) is principally associated with Ph-positive ALL.P190 transcript is associated with a poor prognosis.CML due to a p90-type of BCR-ABL gene have a prominent monocytic component, resembling CMML.CML resulting from a p230 BCR-ABL gene (mu-bcr breakpoint) is associated with the CNL variant and/or with marked thrombocytosis.Patients with p230 positive CML-N have indolent course, probably as a result of low p230 mRNA and protein levels.CML - More than 90% have p210 fusion protein.